Patellar clunk is a known complication of which surgery?
1. Corective osteotomy for genu valgum
2. Total knee Replacement
3. Medial patello femoral ligament reconstruction
4. Bicondylar plating of proximal tibia fracture

Correct answer: 2. Total knee Replacement

Explanation: Ans. is 'b' i.e., Total knee Replacement Patellar clunk syndromeo It occurs after total knee replacement.o It occurs due to presence of hypertrophic synovium in the trochlear notch which rubs against the undersurface of patella with flexion-extension movement of knee thereby producing a clunko Management is arthroscopic debridement of the hypertrophic nodule of synovium